Which of the following type of malignancy is associated with the characteristic Zellballen pattern on histopathology?
1. GIST
2. Astrocytoma
3. Carotid body tumor
4. Retinoblastoma

Correct answer: 3. Carotid body tumor

Explanation: Zellballen pattern refers to the nest-like clusters of uniform, round-to-polygonal chief cells surrounded by delicate richly vascular tissue and sustentacular cells. This histological pattern is a characteristic feature of carotid body paraganglioma.